Which one of the following is the major site for Purine nucleotide biosynthesis?
1. Liver
2. Erythrocytes
3. Polymorphonuclear leukocytes
4. Brain

Correct answer: 1. Liver

Explanation: Liver is the major site for Purine nucleotide biosynthesis. Erythrocytes, Polymorphonuclear leukocytes and Brain cannot produce purines. The purines are built upon a pre-existing ribose 5-phosphate.